Bupivacaine, a local anaesthetic agent used in the dentistry in the concentration of:
1. 2%
2. 4%
3. 5%
4. 0.50%

Correct answer: 4. 0.50%